Medusa head colonies on nutrient agar are seen in
1. Pneumococcus
2. Legionella
3. Brucella
4. Anthrax

Correct answer: 4. Anthrax

Explanation: On agar plates, irregularly round colonies are formed by anthrax bacilli, 2-3 mm in diameter, raised, dull, opaque, greyish with a frosted glass appearance. Under a microscope, the edge of the colony is composed of long, interlacing chains of bacilli, resembling locks of matted hair. This is called a Medusa head appearance. Reference: Textbook of Microbiology; Anathanarayan and panicker's; 10th edition; Page no: 251